All are true about Crohn's disease except:
1. Has transmural involvement
2. Creeping fat sign is seen
3. Lesions are continuous and associated with backwash ileitis
4. Earliest finding in Crohn's disease is Aphthous ulcer

Correct answer: 3. Lesions are continuous and associated with backwash ileitis

Explanation: Inflammatory bowel Disease Crohn's disease Ulcerative colitis -Terminal ileitis -Rectum -Skip areas -Continuous -Backwash ileitis - has transmural involvement - has superficial involvement -Signs seen Target sign / halo sign Comb sign Rose thorning sign Creeping fat sign String sign of Kantor -Signs seen Loss of mucosal granularity Lead pipe appearance Collar button sign Loss of haustration -Earliest finding: Aphthous ulcer - gives cobblestone appearance in bowel Note: Cobblestone appearance in oesophagus- Candida -Earliest finding: Loss of mucosal granularity Lead pipe appearance Loss of haustration - Has Pseudo sacculation -Has rectal sparing/fibrosis/strictures/gut shortening - Has Pseudo polyps & crypt abscesses